Serotonin syndrome may be precipitated by all of the following medications, except:
1. Chlorpromazine
2. Pentazocine
3. Buspirone
4. Meperidine

Correct answer: 1. Chlorpromazine

Explanation: Chlorpromazine is used in the treatment of serotonin syndrome. It is a potent 5HT2 receptor antagonist and can reduce the level of serotonin thereby useful in serotonin syndrome. Ref: The Diagnosis of Psychosis By Rudolf Cardinal, Edward Bullmore, Page 125; Blackwell's Five-Minute Veterinary Consult Clinical Companion, Page 234.